A 3 year old male child diagnosed to have acute UT1 developed left flank pain on ulatrasonogram, the left ureter was found to be duplicated the most probable site of opening of ectopic ureter will be -
1. Prostatic urethra
2. Vas deferens
3. Seminal vesicle
4. Trigone of bladder

Correct answer: 1. Prostatic urethra

Explanation: Ans. is 'a' i.e., Prostatic urethra Ectopic ureter o A ureter that drains outside the bladder is referred to as an ectopic ureter. o Ectopic ureter usally drains the upper pole of a duplex collecting system (two ureter duplication of ureter). o It is more common in girls.